Which of the following is a zoonotic disease -
1. Hydatid cyst
2. Malaria
3. Filariasis
4. Dengue fever

Correct answer: 1. Hydatid cyst

Explanation: - zoonoses have been defined as those disease and infection which are naturally transmitted between vertebrate animals and man. - hydatid disease is a zoonotic disease of man . It is caused in man by the metacystode stage of the canine intestinal tapeworm, Echinococcus. The adult worms are found in dogs and other carnivores. Reference : Park's textbook of preventive and social medicine, 23rd edition, pg no:276, 303